Most common cause of first trimester abortion is.
1. Chromosomal abnormalities
2. Syphilis
3. Rhesus isoimmunization
4. Cervical incompetence

Correct answer: 1. Chromosomal abnormalities

Explanation: Ans. is a i.e. Chromosomal abnormalities Abortion is spontaneous termination of pregnancy before the period of viability There are various definitions of abortion depending on the criteria for viability or survival of fetus. In the past, the criterion for viability was considered from 28 weeks onwards, but due to improvement in neonatal survival, this has been changed to 20th completed weeks". Another commonly used definition is the "-delivery of a fetus or any part of product of conception with weight less than 500gms.'deg Incidence : About 15% of all conceptions end up in spontaneous abortions. Out of these 80% occur before 12 weeks i.e. in 1st trimester and among these 50-75% are due to chromosomal anomalies. Common causes of abortion : Petal factors Chromosomal abnormalities Hydropic degeneration of villi Multiple pregnancy Maternal factors Maternal infections like : TORCH infections, malaria,ureoplasma, chlamydia, brucella, spirochaetes Maternal medical disorders like : -- Hypertension -- Chronic renal disease -- Cyanotic heart disease -- Hemoglobinopathies Environmental factors like : -- Alcohol, caffeine. -- Exposure to radiation (> 5 rads) & anaesthetic gases Endocrine problems like : - Luteal phase defect (deficiency of progesterone) -- Thyroid abnormalities - hypothyroidism. - Poorly controlled diabetes mellitus -- PCOD Immunological causes : -- Antiphospholipid antibody syndrome -- Inherited thrombophilias Uterine factors like -- Cervical incompetence -- Mullerian anomalies - Large and multiple submucous leiomyoma -- Ashermann syndrome -- DES exposure in utero Others : Trauma; Subchorionic hematoma; Defective placentation Mnemonic to remember maternal causes of abortion--Mnemonic T = Trauma 12 = Infections/immunological causes M = Maternal medical diseases E' = Environmental factors/Endocrine problem D = Developmental/anatomical problems Mnemonic to remember maternal causes of abortion--Mnemonic T = Trauma 12 = Infections/immunological causes M = Maternal medical diseases E' = Environmental factors/Endocrine problem D = Developmental/anatomical problems